High dose radiotherapy causes pancreatic -
1. Acinar dificiency
2. Islets of Langerhans deficiency
3. A +B
4. None

Correct answer: 1. Acinar dificiency

Explanation: Acinar cells are radiosensitive while islets are relatively radioresistant